Which of the following do not manifest on first day of life?
1. Jaundice
2. Sepsis
3. Neonatal tetanus
4. Meconium aspiration syndrome

Correct answer: 3. Neonatal tetanus

Explanation: Neonatal tetanus manifests on 8th day of life; thus referred as '8th day disease.' Remaining all conditions given, can manifest on 1st day of life. Also remember, - Neonatal tetanus Elimination criteria : Rate < 0.1 case / 1000 LB. Coverage TT > 90%. Attended deliveries > 75%.